In a patient of known prolonged congenital QT syndrome and intermittent Torsade-de-pointes, which of the following should be prescribed?
1. Magnesium sulphate
2. Metoprolol
3. Cardiac pacing
4. Isoprendine

Correct answer: 2. Metoprolol

Explanation: Ans. is 'b' i.e., Metoprolol